Which one of the following is not a special incidence rate
1. Attack rate
2. Secondary attack rate
3. Hospital admission rate
4. standardized mortality rate

Correct answer: 4. standardized mortality rate

Explanation: ref: Park's 23rd edition pg 58 All except D are special incidence rate. Standardised mortality rate is adjusted mortality rate, which removes the confounding effect of different age structures and yields a single standardised or adjusted rate by which mortality experience can be directly compared.